In bishop score, all are included except
1. Effacement of cervix
2. Dilatation of cervix
3. Station of head
4. Interspinal diameter

Correct answer: 4. Interspinal diameter

Explanation: The Bishop score can be used to evaluate the condition of cervix and station of presenting part, as a prognostic index for the success of induction. The different components of currently used scoring systems are dilatation, effacement, station, consistency, and position(refer page: 558 Sheila 2nd edition)